C-cells of thyroid are derived from
1. I branchial arch
2. II branchial arch
3. III branchial arch
4. Ultimobranchial body

Correct answer: 4. Ultimobranchial body

Explanation: D. i.e. Ultimobronchial body - Most of thyroid gland develop from thyroglossal duct (an endodermal bud at foramen caecum)Q- Parafollicular or C-Cells which produce calcitonin are derived from - ultimobranchial bodyQUltimobronchial body is derived from 5th pharyngeal pouch.